Surface Immunoglobulin is found in which cell ?
1. T-cell
2. B-cell
3. NK cell
4. Plasma cells

Correct answer: 2. B-cell

Explanation: Ans is b' i.e. B-cell B cells recognize antigen the B-cell antigen receptor complex.Ig M and Ig D, present on the surface of all naive B cells, constitute the antigen binding component of B-cell receptor complex.After antigenic stimulation, B cells form plasma cells that secret immunoglobulin.